The biochemical marker of lymphocytic leukemia is -
1. Enolase
2. Peroxidase
3. Choline esterase
4. Periodic and Schiff

Correct answer: 4. Periodic and Schiff